All are true about serous cystadenoma of the ovary except:
1. Bilateral
2. Unilateral
3. Concentric calcification
4. Multiloculated, sticky, gelatinous fluid

Correct answer: 4. Multiloculated, sticky, gelatinous fluid